Which of the following is unaffected in leprosy
1. Cooler part of the body
2. Surface of the body
3. Ovary
4. All of the above are affected in leprosy

Correct answer: 3. Ovary

Explanation: The unique feature of leprosy is its predilection for the surface of the body and also for the cool part of the surface. Ovary and other deeply placed glands and organs are unaffected.